Radio-Ulnar joint is
1. Pivot Type
2. Saddle Type
3. Ball And Socket Type
4. Fibrous Type

Correct answer: 1. Pivot Type